Gilbert syndrome- True is:
1. Reduced activity of glucuronyl transferase
2. Causes indirect hyperbilirubinemia
3. Not required any treatment
4. All of above

Correct answer: 4. All of above

Explanation: Ans. is 'D' i.e., All of above Ref- o Bilirubin is the metabolic end product of heme. o Before excretion into bile, it is 1st glucuronidated by the enzyme bilirubin-uridine diphospho glucuronate glucuronosyltransferase (UDPGT). o UDPGT activity is deficient or altered in three genetically and functionally distinct disorders (Crigler-Najjar syndromes type I and II and Gilbert syndrome), producing congenital nonobstructive, nonhemolytic, unconjugated hyperbilirubinemia. o UGT1A1 is the primary UDPGT isoform needed for bilirubin glucuronidation, and complete absence of UGT1A1 activity causes CN type I. o CN type II is due to decreased UGTIA1 activity; o Gilbert syndrome also decreases normal enzyme activity' but only to = 30%. o Unlike the Crigler-Najjar syndromes, Gilbert syndrome is benign and no treatment is required.